Intrinsic factor is produced by
1. Argentaffin cells
2. Oxyntic cells
3. Chief cells
4. Antral cells

Correct answer: 2. Oxyntic cells

Explanation: The gastric mucosa contains many deep glands. In the cardia and the pyloric region, the glands secrete mucus. In the body of the stomach, including the fundus, the glands also contain parietal (oxyntic) cells, which secrete hydrochloric acid and intrinsic factor, and chief (zymogen, peptic) cells, which secrete pepsinogens. These secretions mix with mucus secreted by the cells in the necks of the glands. Several of the glands open on a common chamber (gastric pit) that opens in turn on the surface of the mucosa. Mucus is also secreted along with HCO3 by mucus cells on the surface of the epithelium between glands.REF: GANONG'S REVIEW OF MEDICAL PHYSIOLOGY, KIM BARRETT, HEDDWEN BROOKS, SCOTT BOITANO, SUSAN BARMANTWENTY THIRD EDITIONPAGE NO:431,432